The term ARCON was coined by
1. Bergstrom
2. Hanau
3. Gillis
4. Fish

Correct answer: 1. Bergstrom